Dakin's solution is
1. 0.5% NaOCl
2. 2.5% NaOCl
3. 1.25% NaOCl
4. 5.2% NaOCl

Correct answer: 1. 0.5% NaOCl

Explanation: NaOCl as a buffered 0.5% solution was recommended for irrigation of wound during world war I by Dakin. Coolidge introduced NaoCl to endodontics.